Mallory hyaline is seen in -
1. Alcoholic liver disease
2. Hepatocellular carcinoma
3. Wilson's disease
4. All

Correct answer: 4. All

Explanation: Ans. is 'a' i.e., Alcoholic liver disease; 'b' i.e., Hepatocellular carcinoma; 'c' i.e., Wilson's disease